Drug of choice in Pregnant women with Secondary Syphilis :
1. Doxycycline
2. Benzathine Penicillin
3. Ceftriaxone
4. Cotrimoxazole

Correct answer: 2. Benzathine Penicillin

Explanation: ANSWER: (B) Benzathine PenicillinREF: Danforth's Obstetrics and Gynecology, 10th Edition page 613 Alcamos Fundamentals of Microbiology by Jeffrey C. Pommerville page 408, Blueprints Obstetrics and Gynecology By Tamara L. Callahan, Aaron B. Caughey page 175"Syphilis is a serious problem in pregnant women because spirochetes readily crosses placenta and can thus causes stillbirth or congenital syphilis in the fetus"Penicillin remains the drug of choice in pregnancy for the treatment of syphilis,Primary, secondary or early latent syphilis can be treated with Benzathine penicillin-G 2.4 million units IM single doseLate latent (> 1 year) or latent syphilis of unknown duration is treated by 2.4 million units IM weekly for 3 weeksAlternative choices for penicillin-allergic patients include 2-wreek regimens of doxycycline, 100 mg twice daily, or tetracycline, 500 mg four times daily